Normal creatinine level is:
1. 0.8 - 1.2 mg/dL
2. 1.0 - 2.0 mg/dL
3. 2.2 - 3.0 mg/dL
4. 3.0 - 3.8 mg/dL

Correct answer: 1. 0.8 - 1.2 mg/dL

Explanation: 0.8 - 1.2 mg/dL